Glucose is co-transported with Na+ ions. This is a type of
1. Secondary active transport
2. Primary active transport
3. Facilitated diffusion
4. Simple diffusion

Correct answer: 1. Secondary active transport

Explanation: Glucose enters cells by facilitated diffusion or, in the intestine and kidneys, by secondary active transport with Na+.(REF.GANONG'S REVIEW OF MEDICAL PHYSIOLOGY 23rd EDITION page no.318.)